A patient with microcytic hypochromic anemia, Hb-9%, serum iron is 20 ?/dl, ferritin level 800 mg/ ml, transferrin percentage saturation is 64. What is possible diagnosis -
1. Atransferrinemia
2. Iron deficiency anemia
3. DMT 1 mutation
4. Hemochromatosis

Correct answer: 1. Atransferrinemia